Which of the following HLA gene increases the risk of Steven Johnson syndrome with usage of Carbamazepine
1. HLAB1330
2. HLAB5801
3. HLAB1502
4. HLAB5701

Correct answer: 3. HLAB1502